The most likely cause of bihilar lymphadenopathy is -
1. Histoplasmosis
2. Tuberculosis
3. Sarcoidosis
4. Aspergillosis

Correct answer: 3. Sarcoidosis